Which of the following is a selective progesterone receptor modulator
1. Tamoxifen
2. Ulipristal
3. Nomegestrol
4. Toremifene

Correct answer: 2. Ulipristal

Explanation: SPRMS- Selective progesterone receptor modulators ulipristal, asoprisnil, proellex-new drugs Ulipristal used for emergency contraception Ref: KD Tripathi 8th ed